What is Frequency Curve?
1. When the observation is large and group interval is reduced, frequency polygon loses its angulations to become a curve
2. It is a frequency polygon presenting variation by line, it shows the trend of event over a period of time
3. It is a graph of cumulative frequency distribution
4. It is an area diagram of frequency distribution developed over a histogram

Correct answer: 1. When the observation is large and group interval is reduced, frequency polygon loses its angulations to become a curve

Explanation: Frequency Curve-When the observation is large and group interval is reduced, frequency polygon loses its angulations to become a curve. Line chart/graph-It is a frequency polygon presenting variation by line, it shows the trend of event over a period of time. Cumulative frequency diagram (OGIVE)-It is a graph of cumulative frequency distribution. Frequency Polygon-It is an area diagram of frequency distribution developed over a histogram.